Sq. cell tumor of urinary bladder is due to -a) Stoneb) Schistosomiasisc) Chr. cystitisd) Diabetes mellitus
1. ab
2. bc
3. abc
4. bcd

Correct answer: 3. abc

Explanation: Risk factors for squamous cell ca of bladder

Schistosoma haematobium
it's a risk factor for both TCC & sq. cell ca, but more for sq. cell ca.
Chronic irritation from urinary calculi, long term indwelling catheters, chronic urinary infections
Bladder diverticula